Cotton wool spots in diabetic retinoaEUR' pathy are due to:
1. Retinal nerve infarcts
2. Retinal holes
3. Retinal haemorrhage
4. Macular degeneration

Correct answer: 1. Retinal nerve infarcts

Explanation: Retinal nerve infarcts